All of the following are abdominal sling surgeries done for uterine preservation in patients of uterine prolapse, EXCEPT:-
1. Khanna
2. Shirodkar
3. Purandare
4. Manchester

Correct answer: 4. Manchester

Explanation: Sling Surgery Fixing the Uterus through a Cervical stitch into the abdomen is called 'Abdominal Cervicopexy' Shirodkar- Sling to the sacrum Purandare- To the Rectus Sheath Khannas-To the Anterior superior Iliac spine Manchester/Fothergills surgery: It is a vaginal procedure done for uterine prolapse for preservation of uterus. Here the cervix is amputated and B/L transverse ligaments are plicated in front of the amputated cervix, followed by anterior and posterior colporhaphy.